True about aplastic anemia is all Except:
1. Splenomegaly
2. Reticulocytopenia
3. Thrombocytopenia
4. Neutropenia

Correct answer: 1. Splenomegaly

Explanation: Answer is A (Splenomegaly): Splenomegaly is characteristically absent in Aplastic Anemia 'Splenomegaly is characteristically absent. If present, the diagnosis of aplastic anemia should he seriously questioned'